National institute of Homeopathy is located in:
1. Delhi
2. Kolkata
3. Chennai
4. Mumbai

Correct answer: 2. Kolkata

Explanation: The government of india has established a national institute of Ayurveda in Jaipur and a national institute of homeopathy in Kolkata. Ref: Park 21st edition, page 849.